Position of internal hemorrhoid in anus is especially common in
1. 4 0' clock position
2. 11 0' clock position
3. 8 0' clock position
4. 9 0' clock position

Correct answer: 2. 11 0' clock position

Explanation: Answer- B. 11 0' clock positionInternal hemorrhoids characteristically lie in 3, 7 and 11 o'clock positions.